In type-4 thyroplasty, vocal cord is ?
1. Medially displaced
2. Laterally displaced
3. Lengthened
4. Shortened

Correct answer: 3. Lengthened

Explanation: Ans. is 'c' i.e., Lengthened Thyroplasty Isshiki divided thyroplasty procedures into 4 categories to produce functional alteration of vocal cords : - Type I : Medial displacement of vocal cord (done by injection of gel foam/Teflon paste) Type 2 : Lateral displacement of cord (done to improve the airway). Type 3 : Shortening (relax) the cord, to lower the pitch (gender transformation from female to male). Type 4 : Lengthening (tightening) the cord, to elevate the pitch (gender transformation from male to female), for example as a treatment of androphonia.